Which of the following infestations leads to malabsorption?
1. Giardia lamblia
2. Ascaris lumbricoides
3. Necator americana
4. Ancylostoma duodenale

Correct answer: 1. Giardia lamblia

Explanation: Ans. (a) Giardia lamblia Remember: Ascaris lumbricoides in small intestine usually cause no symptoms. In children it may cause pain and intestinal obstruction sometimes complicated by perforation, intussusception or volvulus. Migration to aberrant site can cause biliary colic, cholecystitis, cholangitis, pancreatitis or rarely intrahepatic abscess. Intestinal phase of A.duodenale cause epigastric pain, inflammatory diarrhea and iron deficiency anemia.